Primary hyperparathyroidism, phaeochromocytoma may be associated with which type of thyroid cancer?
1. Medullary carcinoma of the thyroid
2. Papillary carcinoma of the thyroid
3. Anaplastic carcinoma of the thyroid
4. Follicular carcinoma of the thyroid

Correct answer: 1. Medullary carcinoma of the thyroid

Explanation: Ref : Bailey and love surgery text book 27th Ed. It is characterized clinically by medullary thyroid carcinoma (MTC), pheochromocytoma, and hyperparathyroidism. Approximately 70-95% of individuals with MEN 2A develop MTC, 50% develop pheochromocytoma, and 15-30% develop hyperparathyroidism.